The following is the feature of depolarizing blockade ?
1. Tetanic fade
2. Post tetanic potentiation
3. Progression to dual blockade
4. Antagonism by anticholinesterases

Correct answer: 3. Progression to dual blockade